MC site of composite complex odontoma
1. Posterior Jaw
2. Anterior maxilla
3. Maxillary canine
4. Maxillary molar

Correct answer: 1. Posterior Jaw